Most common organism causing community acquired pneumonia -
1. Staphylococcus aureus
2. Streptococcus pyogenes
3. Streptococcus pneumoniae
4. Haemophilus influenzae

Correct answer: 3. Streptococcus pneumoniae

Explanation: Ans. is 'c' i.e., Streptococcus pneumoniae o Streptococcus pneumoniae is the most common cause of community acquired acute pneumonia. It is the most common cause of lobar pneumonia.